Pathognomonic of thalassemia major :
1. Conjugated hyperbilirubinemia
2. Raised HbA2
3. Raised HbF
4. Severe anemia

Correct answer: 3. Raised HbF

Explanation: Ans. c (Raised HbF). (Robbin, Pathologic Basis of Diseases 5th/600; 6th/615)THALASSEMIA#A characteristic finding on Hb electrophoresis in thalassemia minor increases in HbA0, which may constitute 4% to 8% of the total Hb (normal, 2.5 +- 0.3%).#HbF levels may be normal or slightly increased.#In thalassemia major HbF is markedly increased and indeed constitutes major Hb while HbA2 levels may be normal, low or high.#Patients with b-thalassemia major require intensive transfusion support to survive. Patients with b-thalassemia intermedia have a somewhat milder phenotype and can survive without transfusion. The terms b-thalassemia minor and b-thalassemia trait describe asymptomatic heterozygotes for b-thalassemia.